Neprilysin inhibitor is:
1. Carperitide
2. Nesiritide
3. Sacubitril
4. Conivaptan

Correct answer: 3. Sacubitril

Explanation: Ref. KDT. Page. 889
Neprilysin, also known as membrane metallo-endopeptidase (MME)
 
Sacubitril

Sacubitril's active metabolite, LBQ657 inhibits neprilysin, a neutral endopeptidase that would typically cleave natiuretic peptides, which includes: atrial natriuretic peptide (ANP), brain natriuretic peptide (BNP), and c-type natriuretic peptide (CNP)
The half life of sacubitril is 1.1 to 3.6 hours
The most common adverse reactions  are hypotension, hyperkalemia, cough
Used in combination with valsartan to reduce the risk of cardiovascular events in patients with chronic heart failure (NYHA Class II-IV) and reduced ejection fraction.